Most common malignancy in marjolin's ulcer
1. Adenocarcinoma
2. Squamous cell carcinoma
3. Basal cell carcinoma
4. Malignant fibrous histiocytoma

Correct answer: 2. Squamous cell carcinoma

Explanation: (B) Squamous cell carcinoma) (29, 548- Bailey & Love)A squamous cell carcinoma known as Marjolin's ulcer being the most common (Leg ulcers)Most frequently associated with * Chronic venous ulcer* Long standing burn scar* Squamous cell carcinoma developing in long standing scar/ulcers* Adenocarcinomas are the most common histological subtype of stomach cancer * *** Gastric carcinomas are often associated with hypochlorhydria /achlorhydria* Gastric carcinomas are relatively radioresistant* Maleny's ulcer (Burro wing ulcer) is caused by synergistic infection by Microerophilic Nonhaemolytic streptococci and Aerobic, Hemolytic staphylococci